True about intertrochanteric fracture
1. > 1 inch shortening
2. > 1 inch lengthening
3. Tenderness in scarpa's triangle
4. < 45 degree external rotation of limb

Correct answer: 1. > 1 inch shortening